Most common organ affected in polyarteritis nodosa?
1. Lungs
2. Kidneys
3. Pancreas
4. Spleen

Correct answer: 2. Kidneys

Explanation: Ans. b (Kidneys). (Ref. Harrisons Medicine, 18th/ Chapter 326. The Vasculitis Syndromes)PAN is necrotising vasculitis of small and medium sized arteries.Descending order of frequency of involvement of organs in PAN is# Kidney# Heart# Liver# GIT# Muscle# Pancreas# Testis# CNS# Skin